A 7 yr old boy underwent neurosurgery for craniopharyngioma following which pituitary functions were lost. Which of the following hormone should be replaced first ?
1. Hydrocortisone
2. Thyroxine
3. Growth hormone
4. Prolactin

Correct answer: 1. Hydrocortisone

Explanation: Hydrocortisone is a corticosteroid mainly used for anti inflammatory action. It may have lot of side effects due to a neurosurgery. Hence, it should be first replaced after a surgery Reference: GHAI Essential pediatrics, 8th edition